Absorption of which of the following anti-malarial drug increases with food intake?
1. Mefloquine
2. Lumefantrine
3. Chloroquine
4. Amodiaquine

Correct answer: 2. Lumefantrine

Explanation: Lumefantrine is highly lipophilic; absorption starts after 2 hours of ingestion and peaks at 6-8 hours ESSENTIALS OF MEDICAL PHARMACOLOGY page no.833